A 38-year-old pregnant woman is admitted to the emergency department with severe vaginal bleeding. Ultrasound examination confirms the initial diagnosis of ectopic pregnancy. Which of the following is the most common site of an ectopic pregnancy?
1. Uterine tubes
2. Cervix
3. Mesentery of the abdominal wall
4. Lower part of uterine body overlapping the internal cervical os

Correct answer: 1. Uterine tubes

Explanation: The most common site of ectopic pregnancy is in the uterine tubes. Implantation in the internal os of the cervix can result in placenta previa, but the internal os of the cervix is not the most common site. The other choices listed are not the most common sites of ectopic pregnancy. The fundus of the uterus is the normal site of implantation.